Radio pharmaceutical used for phagocyte study scan used:
1. Sulfur colloid scan
2. Thallium 201
3. Technetium pertechnetate scan
4. MDPscan

Correct answer: 1. Sulfur colloid scan

Explanation: Technetium 99m Sulphur colloid scan: Taken up by reticuloendothelial cells, Macrophages and Kupffer cells Therefore, used for Phagocytes study Evaluate splenic disease Detect occult abscess It shows hot uptake in focal nodular hyperplasia (because it has increased number of Kupffer's cells) Liver Fibrolamellar variant of HCC (has increased hepatocyte) | On Sulphur colloid scan No hot uptake Focal nodular hyperplasia (has increased hepatocyte and Kupffer cells) | hot uptake